A simple bacterial test for mutagenic carcinogens is -
1. Ames test
2. Redox test
3. Bacteriophage
4. Gene splicing

Correct answer: 1. Ames test

Explanation: Ames test is a simple test developed by Bruce Ames that measures the potential of a given chemical compound to promote mutations in a specialized bacterial strain (mutagenic carcinogenesis)